Hypertrophy is a type of
1. Cell injury
2. Cellular adaptation
3. Carcinoma
4. Cell aging

Correct answer: 2. Cellular adaptation

Explanation: Physiological adaptive responses include: 

Hypertrophy - increase in cell size 
Hyperplasia - increase in the number of cells 
Atrophy - decrease in cell size and number 
Metaplasia - reversible replacement of one cell type by another differentiated cell type